Southern blot is used to visualize -
1. RNA
2. DNA
3. Protein
4. Antibody

Correct answer: 2. DNA

Explanation: Ans. is 'b' i.e., DNA o Visualization of a specific DNA or RNA fragment among the many thousand of contaminating molecules requires the convergence of number of techniques collectively termed the blot transfer.Southern blot-Detects DNANorthern blot-Detects RNAWestern blot-Detects proteins (proteins are separated by electrophoresis, renatured and analysed for an interaction by hybridization with a specific labelled DNA probe).